Joint not involved in osteoarthritis is
1. DISTAL INTERPHALYNGEAL JOINTS
2. KNEE JOINT
3. METACARPOPHALYNGEAL JOINT
4. PROXIMAL INTERPHALYNGEAL JOINT

Correct answer: 3. METACARPOPHALYNGEAL JOINT

Explanation: MCP joints are rarelyinvolved in osteoarthritis ref : maheswari 9th ed